The property of an index to measure what is intended to measure is known as
1. Validity
2. Reliability
3. Quantifiabitity
4. Sensitivity

Correct answer: 1. Validity